Platelet aggregation is inhibited by all except ?
1. Aspirin
2. Clopidogrel
3. Thromboxane A2
4. Eptifibatide

Correct answer: 3. Thromboxane A2

Explanation: Ans. is 'c' i.e., Thromboxane A2